All of the following are features of Pseudobulbar palsy, except:
1. Dysarthria
2. Dysphagia
3. Emotional lability
4. Hypoactive jaw jerk

Correct answer: 4. Hypoactive jaw jerk

Explanation: Answer is D (Hypoactive jaw jerk): Pseudobulbar palsy is associated with a hyperactive or exaggerated jaw jerk and not a hypoactive jaw jerk. Comparison of Bulbar and Pseudobulbar Palsy Bulbar Pseudobulbar Dysarthria Yes Yes Dysphagia Yes Yes Movement ofpalate Voluntary Gag reflex No No No Yes Respiratory impairment Yes No Jaw jerk Hypoactive Hyperactive Emotional lability No Yes Intellectual impairment No Yes